Desmopressin can be used for all of the following conditions EXCEPT :
1. Neurogenic diabetes insipidus
2. Nephrogenic diabetes insipidus
3. Bed wetting in children
4. Bleeding due to hemophilia

Correct answer: 2. Nephrogenic diabetes insipidus